Sampson's Theory proposed to explain endometriosis is
1. Embolization of menstrual fragments through lymphatic channels.
2. Metaplastic changes in embryonal cell rests.
3. Reflux of menstrual endometrium.
4. Histogenesis by induction.

Correct answer: 3. Reflux of menstrual endometrium.

Explanation: Sampson's theory: Reflux of menstrual endometrium through fallopian tubes causes endometriosis.